Macula lies from disc at a distance of..... from temporal margin of disc.
1. 1 mm
2. 2 mm
3. 3 mm
4. 4 mm

Correct answer: 3. 3 mm

Explanation: 3 mm